Housefly, which lands on cow dung, contaminating its appendages with bacteria from the faeces, and then lands on food prior to consumption is an example for which type of vector
1. Cyclo developmental
2. Cyclo propagative
3. Mechanical
4. Propagative

Correct answer: 3. Mechanical

Explanation: Mechanical vector-picks up an infectious agent on the outside of its body and transmits it in a passive manner Cyclo propagative- pathogen undergoes cyclic changes and multiples in body of ahropod-e.g. : malarial parasite in female Anopheles mosquito Culex mosquito -filaria -cyclo developmental in which there is cyclical change and do not multiply in the body of vector Other e.g. guinea worm, Cyclops Ref: Arora.Medical parasitology 4th ed pg. 5